All are intracellular parasites, except -
1. Leishmania
2. Plasmodium
3. Toxoplasma
4. None of these

Correct answer: 4. None of these

Explanation: Leishmania-amastigote-lives in reticuloendothelial cells Plasmodium-RBC Toxoplasma-found in reticuloendothelial cells (refer pgno: 63 baveja 3 rd edition)